A patient presents with history of episodic painful edema of face and larynx and abdominal pain associated with stress. Which of the following is likely to be deficient
1. Complement C3
2. Complement C5
3. CI_ Esterase Inhibitor
4. Properidin

Correct answer: 3. CI_ Esterase Inhibitor

Explanation: C i.e. Cl esterase deficiency